A 15-year-old boy reports with a rapidly growing swelling of the mandible with intermittent pain. Patient history is that the swelling occurred after an episode of trauma. Radiographs reveal formation of new subperiosteal bone producing Onion Skin appearance. The patient also has lip paresthesia elevated white blood cell count
One of the following statements is true for Ewing's sarcoma
1. An episode of trauma often precedes development of Ewing's sarcoma
2. Trauma is the main etiology in the development of Ewing's sarcoma
3. Relationship between trauma and Ewing's sarcoma has never been reported
4. Trauma can be considered as etiology for Ewing's sarcoma provided there is secondary infection

Correct answer: 1. An episode of trauma often precedes development of Ewing's sarcoma